Intermittent claudication is defined as
1. Pain in muscle at rest only
2. Pain in muscle on first step
3. Pain in muscle on exercise only
4. Pain in muscle on last step

Correct answer: 3. Pain in muscle on exercise only

Explanation: Intermittent claudication occurs as a result of anaerobic muscle metabolism and is classically described as debilitating cramp-like pain felt in the muscles that is: * reliably brought on by walking; * not present on taking the first step (unlike osteoarthritis); * reliably relieved by rest both in the standing and sitting positions; usually within 5 minutes So the best answer is c. Reference: Bailey and love, 27th edition, page number:943